All are alkylating agents, except
1. 5-Fluorouracil
2. Melphalan
3. Cyclophosphamide
4. Chlorambucil

Correct answer: 1. 5-Fluorouracil

Explanation: Ans. (A) 5-Fluorouracil(Ref: Katzung 11th/e p945, KDT 8th/e p918-919)5-Fluorouracil is an antimetabolite whereas melphalan, cyclophosphamide and chlorambucil are alkylating agents.